Most common site of Necrobiosis lipioidica diabeticorum is
1. Face
2. Neck
3. Front of leg
4. Back of leg

Correct answer: 3. Front of leg

Explanation: Necrobiosis lipoidica: etiology: diabetes mellitus leading to angiopathy histology: palisade get granuloma around a degenerated collagen Clinical features: erythematous papules,plaques,on shins symmetrically distributed, surface smooth waxy shiny. Central atrophy and ulceration with telengiectasia. Most common site of necrobiosis lipoidica diabeticorum Shins. association: diabetes-75% inflammatory bowel disease ,sarcoidosis, an a vasculitis syndromes treatment: intralesional steroids excision and grafting chloroquine control of diabetes has no specific effect on skin Iadvl textbook of dermatology page 1196